Nova T has
1. Silver core
2. Platinum core
3. Copper core
4. Iron core

Correct answer: 1. Silver core